Heat loss at an ambient temperature of 21 degree takes place through
1. Respiration
2. Radiation
3. Sweating
4. Urine and faeces

Correct answer: 2. Radiation

Explanation: Radiation is a process of heat transfer to or from the surroundings mediam . It doesn't require any conducter Ref:Guyton and Hall textbook of medical physiology 12th edition,page number:863,864